All are examples of genetic defects in insulin action, except:
1. Leprechaunism
2. Rabson-Mendenhall syndrome
3. Lipodystrophy syndromes
4. MODY type 3

Correct answer: 4. MODY type 3

Explanation: Examples of Genetic defects in insulin action are: 1. Type A insulin resistance 2. Leprechaunism 3. Rabson-Mendenhall syndrome 4. Lipodystrophy syndromes Ref: Harrisons Principles of Internal Medicine, 18th Edition, Page 2969.